Most common cause of diarrhea in AIDS patients?
1. Salmonella typhimurium
2. Cryptosporidium
3. Candida
4. isophora

Correct answer: 2. Cryptosporidium

Explanation: Ans. is 'b' i.e., Cryptosporidium Most common cause of diarrhea in HIV - Cryptosporidium. Diseases of Oropharvnx and GI system in H.I.V. These are :? Oral lesions : Thrush (oral candidiasis), oral Hairy leukoplakia (caused by EBV), and aphthous ulcer. Esophageal : Esophagitis by CMV, HSV or candida. Diarrhea : Diarrhea is caused by :- Bacteria : Salmonella, Shigella, Campylobacter, and mycobacteria avium intracellulare. Fungal : Histoplasma, Coccidioides, penicillium. Other : CMV, microsporidia, isospora helli, and cryptosporidia. AIDS enteropathy (HIV enteropathy)